Gaisbock syndrome is better known as?
1. Primary familial polycythemia
2. High-altitude erythrocytosis
3. Spurious polycythemia
4. Polycythemia vera

Correct answer: 3. Spurious polycythemia

Explanation: Gaisbock syndrome is characterised by secondary polycythemia. It occurs mainly in male sedentary individuals, on a high-calorie diet. Prevalence is unknown. The clinical picture includes mild obesity, hypertension and decrease in plasma volume with relative increase in hematocrit, blood viscosity, serum cholesterol, triglycerides and uric acid. The reduction in plasma volume seems related to the elevation of the diastolic blood pressure. Prognosis is impaired by the development of cardiovascular complications.